Drug of choice for central precocious puberty in girls
1. GnRH analogue
2. Danazol
3. Cyproterone acetate
4. Medroxy progesterone acetate

Correct answer: 1. GnRH analogue